The treatment of choice for silent stones in Gallbladder is -
1. Observation
2. Chenodeoxy cholic acid
3. Cholecytectomy
4. Lithotripsy

Correct answer: 1. Observation

Explanation: Operation of not done in most cases of gallstones, it is done in symptomatic cases There was no clear cost benefit and no life years were gained from prophylactic Cholecystectomy, indicating no clear-cut advantages of prophylactic Cholecystectomy in asymptomatic cholelithiasis. As a result, in patients with asymptomatic gallstones, expectant management is recommended Ref: Blumgart 5th edition Pgno : 486